The most common cause of Cushing's syndrome is:
1. Pituitary adenoma
2. Adrenal adenoma
3. Ectopic ACTH
4. Iatrogenic steroids

Correct answer: 4. Iatrogenic steroids

Explanation: d. Iatrogenic steroids(Ref: Nelson's 20/e p 2227-2729, Ghai 8/e p 525)The most common cause of Cushing's syndrome is prolonged exogenous administration of glucocorticoid hormones, especially at the high doses used to treat lymphoproliferative disorders.